Damage to nervous tissue is repaired by
1. Neuroglia
2. Fibroblasts
3. Axons
4. Microglia

Correct answer: 1. Neuroglia

Explanation: Refer Robbins page no Pg 1252